True about Salter harris classification is-
1. Thurston Holland sign is seen in type IV injury
2. Type I injury has worst prognosis
3. Type II injury is fracture of necessity
4. Physeal crushing injury occurs in type V

Correct answer: 4. Physeal crushing injury occurs in type V

Explanation: Salter-Harris types Feature 1 Fracture line is entirely with in Physis causing epiphyseal slip 2 Fracture line extends from physis into the Metaphysis (Thurston-Holland's fragment sign) 3 Fracture line extends from physis into the Epiphysis causing epiphyseal split 4 Fracture line extends across the Epiphysis, (articular surface), Physis, and metaphysis 5 Crush injury of physis with initially normal X-rays